Most common fracture in elderly
1. TCNF
2. Colle's fracture
3. IT fracture
4. Supracondylar fracture

Correct answer: 2. Colle's fracture

Explanation: Colle's fracture is the most common fracture in person over 40 years.